All–trans–retinoic acid is used in the treatment of:
1. Acute promyelocytic leukemia
2. A.L.L.
3. CML
4. Transient myeloproliferative disorder

Correct answer: 1. Acute promyelocytic leukemia

Explanation: All-trans-retinoic acid is used in the treatment of acute promyelocytic leukemia.
Treatment of Acute promyelocytic leukemia

Usually, all the cases of AML other than acute promyelocytic leukemia are treated with cytarabine + anthracycline.
But in the case of acute promyelocytic leukemia, tretinoin is used for induction.
When acute promyelocytic leukemia is treated with anthracycline and cytarabine, DIC is induced by the release of granule components of dying tumour cells.
On the other hand, tretinoin produces a complication known as a retinoic acid syndrome, which occurs in the first 3 weeks of treatment and is characterized by fever, dyspnoea, chest pain, pulmonary infiltrates pleural and pericardial effusions.
If the patient is refractory to tretinoin therapy, arsenic trioxide is used.